Transovarian transmission is seen in which infection
1. Plague
2. Filarial
3. Guinea
4. Yellow fever

Correct answer: 4. Yellow fever